All of the following are decreased in Nephrotic syndrome except :
1. Transferrin
2. Ceruloplasmin
3. Albumin
4. Fibrinogen

Correct answer: 4. Fibrinogen

Explanation: Answer is D (Fibrinogen): Nephrotic syndrome is characteristically associated with increased fibrinogen levels Nephrotic syndrome is characteristically associated with increased fibrinogen levels - Hyper fibrinogenemia. This is due to increase hepatic synthesis, impaired fibrinolysis, and increased platelet aggregability. It is an important factor responsible for hypercoagulability seen in Nephrotic syndrome. Patient of nephrotic syndrome can develop spontaneous peripheral arterial or venous thrombosis. - Renal vein thrombosis Q - Pulmonary embolisms. Serum albumin is decreased due to proteinuriaQ Hypoalbumnimia is compounded by increased renal catabolism and inadequate albeit increased hepatic synthesis of albumin. Transferrin loss in urine leads to decreased levels of serum transferrin. This is responsible for iron resistant microcytic hypochromic anemia. Q Ceruloplasmin level, too are decrease on account of its loss in urine. Q